Fixation of hysteria is:
1. Genital
2. Anal
3. Oral
4. Phallic

Correct answer: 4. Phallic

Explanation: Phallic stage (3-5 years): The site of pleasure is the genital area. The male child develops what is known as oedipus complex- Sexual feeling towards his mother In females, the oedipus stage unfolds as electra complex -Sexual desire for the father. Failure to resolve the oedipus and electra complex can result in development of neurotic illnesses (like hysteria). Hence, the neurotic illness develops due to fixation at phallic stage